NNN media used in?
1. Leishmania
2. Histoplasma
3. Trypanosoma
4. Entamoeba

Correct answer: 1. Leishmania

Explanation: Diagnosis Novy-Macneal-Nicole Medium Laboratory diagnosis of leishmaniasis can include the following: Isolation, visualization, and culturing of the parasite from infected tissue Serologic detection of antibodies to recombinant K39 antigen Polymerase chain reaction (PCR) assay for sensitive, rapid diagnosis of Leishmania species Other tests that may be considered include the following: CBC count, coagulation studies, liver function tests, peripheral blood smear Measurements of lipase, amylase, gamma globulin, and albumin Leishmanin (Montenegro) skin testing (LST) (not FDA approved in the United States) Novy-MacNeal-Nicolle medium (NNN) is a culture medium used to grow Leishmania It consists of 0.6% sodium chloride (NaCl) added to a simple blood agar slope. NNN can also be used to grow Trypanosoma cruzi. REF:Medscape